Chronic simple glaucoma features are :
1. Raised IOP with no optic nerve damage.
2. Raised IOP with optic nerve damage.
3. Perimetric damage with no optic nerve changes.
4. Pink disc.

Correct answer: 2. Raised IOP with optic nerve damage.

Explanation: Glaucoma definition is CHRONIC OPTIC NEUROPATHY with characteristic visual field changes with IOP increased as major but not the only risk factor. B is correct as raised IOP is the most important preventable risk factor. A is wrong as there is no optic nerve damage. This condition is called ocular hypertension. C is wrong as there can be AION , RP and various other diseases that can cause visual field defects and not only glaucoma. D is also wrong as pink disc is seen in hypermetropia and not in glaucoma.